For screening of an oral precancerous condition, the test needs to have:
1. High sensitivity, high specificity
2. Low sensitivity, high specificity
3. High sensitivity, Low specificity
4. Low sensitivity, Low specificity

Correct answer: 1. High sensitivity, high specificity